Most common cause of traveller's diarrhea is -
1. Enteropathogenic E. Coli
2. Enterotoxigenic E. Coli
3. Salmonella typhi
4. Shigella dysenteriae

Correct answer: 2. Enterotoxigenic E. Coli

Explanation: Ans. is 'b' i.e., Enterotoxigenic E. Coli o Most common cause of traveller's diarrhea is Enterotoxigenic E. coli, followed by Enteroaggregative E. coli as 2nd most common cause.o Important causes of traveller's diarrhea are:-1) Bacteria: ETEC (most common), Enteroaggregative E. coli (2nd me), EIEC, shigella, salmonella, Campylobacter, V. cholerae.2) Viruses: Rotavirus, Norwalk like virus.3) Parasites: E. histolytica, Giardia lamblia, Cryptosporidium, Cyclospora.